Which of the following statement is false about extended-spectrum beta-lactamases (ESBL)?
1. These can hydrolyze penicillins, cephalosporins as well as monobactams
2. Carbapenems are sensitive to ESBL
3. Amber classification of ESBL is based on structural differences
4. Third and fourth generation cephalosporins are used for detection of ESBL.

Correct answer: 2. Carbapenems are sensitive to ESBL

Explanation: ESBL producing bacteria are sensitive to carbapenems whereas these drugs are resistant to breakdown by ESBL.